Maximum congestion is seen in -
1. Choking
2. Hanging
3. Strangulation
4. Drowning

Correct answer: 3. Strangulation

Explanation: In strangulation, all internal viscera are deeply congested and there is marked congestion of face.